All of the following are advantages of shoulder finish line EXCEPT
1. Good crown contour
2. Less distortion
3. Provide adequate bulk
4. Superior marginal adaptation

Correct answer: 4. Superior marginal adaptation